Sterile Pyuria is characteristically seen in which of the following conditions?
1. Renal Tuberculosis
2. Chronic Hydronephrosis
3. Wilm's Tumor
4. Neuroblastoma

Correct answer: 1. Renal Tuberculosis

Explanation: The classic renal manifestation of TB is the presence of microscopic pyuria with a sterile urine culture or STERILE PYURIA. Urine culture is the gold standard for diagnosis. Ref: CMDT 2008 Edition, Page 815.